Features seen in a patient with chronic vomiting include -
1. Hyponatremia
2. Hypochloremia
3. Hypokalemia
4. All of the above

Correct answer: 4. All of the above